Chlorhexidine gluconate is used as a mouth wash in a concentration of
1. 0.20%
2. 20%
3. 2.00%
4. None of the above

Correct answer: 1. 0.20%